The "Malpighian Layer" of epidermis includes:
1. Stratum corneum, Stratum granulosum
2. Stratum granulosum, Stratum spinosum
3. Stratum granulosum, Stratum lucidum
4. Stratum spinosum, Stratum basale

Correct answer: 4. Stratum spinosum, Stratum basale

Explanation: Ans. d. Stratum spinosum, Stratum basaleNamed after Marcello Malpighi.The malpighian layer of the epidermis is generally defined as both stratum basale and stratum spinosum as a unit.